What can a mother benefit from breastfeeding?
1. Breastfeeding mothers would lose weight rapidly.
2. Breastfeeding is a 100% effective contraceptive method because of lactational amenorrhea method.
3. Breastfeeding mothers can teach the fathers how to breastfeed so they can enjoy feeding time.
4. Breastfeeding prevents breast cancer.

Correct answer: 4. Breastfeeding prevents breast cancer.

Explanation: D: Woman who breastfeeds reduces her chance of acquiring breast cancer.
A: This is not true; women still need a balanced diet during breastfeeding and therefore should eat more.
B: Some breastfeeding women are already ovulating four weeks after giving birth, some even during breastfeeding.
C: The father can find other ways to bond with the infant aside from feeding.